Second generation cephalosporin that can be used orally is
1. Cefipime
2. Cephalothin
3. Cefaclor
4. Cefadroxil

Correct answer: 3. Cefaclor

Explanation: Ans. c (Cefaclor). (Ref. Pharmacology by KD Tripathi - 6th/pg. 704)GenerationOralParenteral1stCephalexinCefadroxilCephradineCephalothinCefazolin2ndCefaclorCefuroximeCefuroximeCefoxitin3rd QCefiximeCefpodoximeCefdinirCeftibuteCefoperazoneCefotanimeCeftizoximeCeftriaxoneCeftazidime4th--CefepimeCefpirome